Rim - sign on nephrogram is seen in
1. Hydronephrosis
2. Absent kidney
3. Wilm's tumor
4. Renal cell carcinoma

Correct answer: 1. Hydronephrosis

Explanation: Causes of Rim - nephrogram are :

Renal vein thrombosis.
Hydronephrosis.
Acute complete renal artery occlusion.